A 60-years old male has been operated for carcinoma of caecum and right hemicolectomy has been done. On the fourth post - oprative day, the patient develops fever and pain in the legs.The most important clinical entity one should look for is -
1. Urinary tract infection
2. Intravenous line infection
3. Chest infection
4. Deep vein thrombosis

Correct answer: 4. Deep vein thrombosis

Explanation: Ans. is `d' i.e., Deep vein thrombosis Old age and post operative period are risk factor for deep vein thrombosis